Where pulsatile liver and ascites is found -
1. TI
2. Critical pulmonary stenosis
3. MR
4. MS

Correct answer: 1. TI

Explanation: Tricuspid insufficiency (TI), a valvular heart disease also called tricuspid regurgitation (TR), refers to the failure of the heart's tricuspid valve to close properly during systole . This defect allows the blood to flow backwards, reducing its efficiency. Regurgitation may be due to a structural change of components of the tricuspid valve apparatus, a lesion can be primary (intrinsic abnormality) or secondary (right ventricular dilatation) pulsatile liver and ascitis are a charecteristic feature of Tricuspid insufficiency Ref Davidson 23rd edition pg 445